Status epilepticus is managed best with the use of which of the following drugs ?
1. Intravenous diazepam
2. Intravenous phenytoin sodium
3. Intramuscular phenobarbitone
4. Rectal diazepam

Correct answer: 1. Intravenous diazepam